8 year old boy presented with swelling in the left eye of three months duration examination revealed proptosis of the left eye with preserved vision right eye is normal CT Scan revealed incredible extraconal mass lesion biopsy revealed embryonal rhabdomyosarcoma metastatic workup was normal the standard line of treatment is
1. Chemotherapy only
2. Wide local excision
3. Enucleation
4. Chemotherapy and Radiation therapy

Correct answer: 4. Chemotherapy and Radiation therapy

Explanation: Rhabdomyosarcoma is very responsive to radiotherapy Refer khurana 6/e p 425